Which of the following contain C-21:
1. Testosterone
2. Estrogen
3. Androgen
4. Progesterone

Correct answer: 4. Progesterone

Explanation: D i.e. Progesterone